When one strand of DNA isolated showed 20A, 25G, 30C, 22T. How many A, G, C, T will be there in both strands together
1. A=45 G=45, C=52, T=52
2. A=50, G=47, C=50, T=47
3. A=44, G=55, C=55, T=44
4. A=42, G=55, C=55, T=42

Correct answer: 4. A=42, G=55, C=55, T=42

Explanation: Chargaff's rule